Which of the following immunoglobulins can crosses placenta:
1. IgA
2. IgM
3. IgG
4. IgD

Correct answer: 3. IgG

Explanation: Answer is C (IgG): IgG is the only maternal immunoglobulin, that is normally transported across the placenta and provides natural passive immunity in the newborn.